In the mandibular arch, first preference major connector for tooth-supported RPD is:
1. Lingual bar.
2. Lingual plate.
3. Kennedy bar.
4. All of the above.

Correct answer: 1. Lingual bar.